Infection of thenar space is drained by incision at?
1. 1st Webspace
2. 2nd Webspace
3. Just above flexor retinaculum
4. 3rd Webspace

Correct answer: 1. 1st Webspace

Explanation: Thenar space communicates with fascial sheath of 1st Lumbrical. Mid palmar space communicates with fascial sheath of 2nd, 3rd & 4th Lumbrical. 2nd space cannot be incised in palmar space infection due to risk of damaging intermediate septum. Infections of  thenar space is drained by incising 1st webspace.